Conjugated hyperbilirubinemia in infancy is seen in –
1. Dubin Johnson syndrome
2. Rotor syndrome
3. Neonatal hepatitis
4. All of these

Correct answer: 4. All of these